A 7-years-old girl is reported by the parents as waking up in the night screaming, and she sits up in bed frightened. She does not respond to questions and after 2 or 3 minutes she goes back to sleep. She has no memory of these events the following morning. Which of the following is the most likely diagnosis?
1. Nocturnal seizures
2. Narcolepsy
3. Nightmare
4. Sleep terrors

Correct answer: 4. Sleep terrors

Explanation: Sleep terrors happen during NREM, they are dream like states that are not recalled.